Cytokine causing fever
1. IL-6
2. IFN-y
3. IL-18
4. IL-4

Correct answer: 1. IL-6

Explanation: Ans. is 'a' i.e., IL-6